Cyst arising from dental lamina
1. Radicular cyst
2. Paradental cyst
3. Eruption cyst
4. Glandular odontogenic cyst

Correct answer: 4. Glandular odontogenic cyst